Accessory organ which may be found in stomach ?
1. Spleen
2. Pancreas
3. Liver
4. Kidney

Correct answer: 2. Pancreas

Explanation: Ans. is 'b' i.e., PancreasEctopic (Accessory) pancreatic tissue may be found in submucosa of :?Stomach Meckel's diveiculumDuodenum Gall bladderSmall intestine (jejunum, ileum) Spleen